Centrally acting skeletal muscles relaxant is:
1. Carisoprodol
2. Dantrolene
3. Gallamine
4. Succinylcholine

Correct answer: 1. Carisoprodol

Explanation: Drugs that act either peripherally or centrally can produce skeletal muscle relaxation. At the periphery, agents (gallamine, succinyl-choline) can either block the neuromuscular junction or directly act on the  muscle (dantrolene). 
Centrally acting muscle relaxant (carisoprodol) selectively depress spinal and supraspinal poly-synaptic reﬂex involved in the regulation of muscle tone. It is used in musculoskeletal disorders associated with muscle spasm.